Oral sacubitril is approved for the treatment of
1. Congestive cardiac failure
2. IBS with diarrhea predominance
3. Unstable angina
4. Vitamin K deficiency

Correct answer: 1. Congestive cardiac failure

Explanation: Sacubitril is given in combination with valsartan for heart failure. Sacubitril is a prodrug that is activated to sacubitrilat (LBQ657) by de-ethylation esterases. Sacubitrilat inhibits the enzyme neprilysin, which is responsible for the degradation of atrial and brain natriuretic peptide, two blood pressure-lowering peptides that work mainly by reducing blood volume. In addition, neprilysin degrades a variety of peptides including bradykinin, an inflammatory mediator exerting a potent vasodilatory action. Ref: KK Sharma 3rd ed.